In malignant hypertension, necrosis is of which type?
1. Caseous necrosis
2. Fibrinoid necrosis
3. Liquifactive necrosis
4. Coagulative necrosis

Correct answer: 2. Fibrinoid necrosis

Explanation: Types of necrosis Coagulative necrosis The most common type of necrosis Loss of nucleus with the cellular outline being preserved Associated with ischemia Seen in organs (heart, liver, kidney etc.) except in the BRAIN. Liquefactive necrosis Enzymatic destruction of cells dead cells are completely digested, transforming the tissue into a liquid viscous mass Abscess formation Seen in brain Caseous necrosis Caseous means "cheese-like," Combination of coagulative and liquefactive necrosis Characteristic of TB Fat necrosis focal areas of fat destruction typically the action of lipases on fatty tissue released fatty acids combine with calcium to produce grossly visible chalky white areas Fat necrosis is seen in acute pancreatitis. Fibrinoid necrosis Complexes of antigens and antibodies are deposited in vessel wall with leakage of fibrinogen out of vessels Seen in rheumatic heart disease and malignant hypertension ref robbins basic pathology 9th ed page 10